A patient presents with shortness of breath. On clinical examination, he is found to have a heaving apex and a systolic murmur that intensifies on Valsalva's maneuver. The most likely diagnosis is-
1. Valvular aortic stenosis
2. Ventricular sepal defect
3. Hypertrophic cardiomyopathy
4. Atrial septal defect

Correct answer: 3. Hypertrophic cardiomyopathy

Explanation: Hypertrophic cardiomyopathy (HCM) is a condition in which a portion of the heart becomes thickened without an obvious cause.This results in the heart being less able to pump blood effectively.Symptoms vary from none to feeling tired, leg swelling, and shortness of breath. It may also result in chest pain or fainting.Complications include heart failure, an irregular heartbeat, and sudden cardiac death Ref Davidson 23rd edition pg 453